The non-sedative antihistamines are all except one
1. Cinnarizine
2. Desloratadine
3. Levocetirizine
4. Fexofenadine

Correct answer: 1. Cinnarizine

Explanation: HIGHLY SEDATIVE
Diphenhydramine
Dimenhydrinate
Promethazine
Hydroxyzine
MODERATELY SEDATIVE
Pheniramine
Cyproheptadine
Meclizine
Cinnarizine
MILD SEDATIVE
Chlorpheniramine
Dexchlorpheniramine
Triprolidine
Clemastine
SECOND GENERATION ANTIHISTAMICS
Fexofenadine
Loratadine
Desloratadine
Cetirizine
Levocetirizine
Azelastine
Mizolastine
Ebastine
Rupatadine